Galea aponeurotica lies in which layer of scalp
1. Skin
2. Superficial fascia
3. Deep fascia
4. Pericranial layer

Correct answer: 3. Deep fascia

Explanation: deep fascia is in the form of the epicranial aponeurosis or galea aponeurotica with the occipitofrontalis muscle. The epicranial aponeurosis, or galea aponeurotica is freely movable on the pericranium along with the overlying and adherent skin and fascia.